Latzko triad is characteristic of :--
1. Ovarian carcinoma
2. Fallopian tube carcinoma
3. Endometrial carcinoma
4. Cervical carcinoma

Correct answer: 2. Fallopian tube carcinoma

Explanation: Latzko's triad is the combination of pelvic pain, pelvic mass, and a serosanguineous vaginal discharge, in association with Fallopian tube carcinoma.